Which of the following is malignant intraocular tumor of children:
1. Retinoblastoma
2. Rhabdomyosarcoma
3. Melanoma
4. Chloroma

Correct answer: 1. Retinoblastoma

Explanation: Ans. A: Retinoblastoma The most common primary malignant intraocular tumor in children is retinoblastoma. Neuroblastoma is the most common cause of orbital metastases in children. Rhabdomyosarcoma is the most common orbital tumour of children.